True statement regarding base excision repair is
1. Used only for the bases which are deaminated
2. Uses enzyme called as DNA glycosylase which generates a basic sugar site
3. Removes about 10 - 15 nucleotide
4. Recognizes a bulk lesion

Correct answer: 2. Uses enzyme called as DNA glycosylase which generates a basic sugar site

Explanation: This is the first step of base excision repair. Bases modified by deamination, methylation, or by other chemical modification are removed by this kind of repair system.